Osteogenic sarcoma arise from -
1. Epiphysis
2. Metaphysis
3. Growth plate
4. Epiphyseal cortex

Correct answer: 2. Metaphysis

Explanation: The tumor most commonly begins in the Metaphysis The most common site of involvement is Metaphysis of long bone around knee Lower end of femur Upper end of tibia Refer Maheshwari 4th/e p 232